The relative hardness of elastomers is determined using
1. Rockwell tester
2. Barcol indenter
3. Knoop pyramid
4. Shore duromete

Correct answer: 4. Shore duromete